Hyoid bone is a derivative of
1. First pharyngeal arch
2. First and second pharyngeal arches
3. Second and third pharyngeal arches
4. Fourth pharyngeal arch

Correct answer: 3. Second and third pharyngeal arches